Which of the suprahyoid muscle is supplied muscle by both facial nerve & mandibular nerve?
1. Stylohyoid
2. Mylohyoid
3. Digastric
4. Hyoglossus

Correct answer: 3. Digastric

Explanation: Anterior belly of digastric is supplied by nerve to mylohyoid (a branch of mandibular nerve) & posterior belly is supplied by facial nerve.